The crystalline lens derived its nutrition from
1. Blood vessels
2. connective tissue
3. Aqueous
4. Zonules

Correct answer: 3. Aqueous

Explanation: Lens is is avascular and hence derives its nutrition from aqeous humour Refer Khurana 6th edition page number 201